A 50-year-old man has had a nonhealing ulcer on the bottom of his foot for 2 months. On examination, the 2-cm ulcer overlies the right first metatarsal head. There is a reduced sensation to pinprick in his feet. His visual acuity is reduced bilaterally. Laboratory studies show serum creatinine is 2.9 mg/dL. Which of the following laboratory test findings is he most likely to have?
1. Glucosuria
2. Hypoalbuminemia
3. Hypokalemia
4. Leukopenia

Correct answer: 1. Glucosuria

Explanation: Complications of diabetes mellitus are described in this man: vascular disease, neuropathy, nephropathy, and retinopathy. Hyperglycemia exceeds the capacity of renal tubular reabsorption, so glucose appears in the urine. The other listed findings involve organs that are not typically involved in diabetes mellitus: a liver disease with decreased albumin synthesis, hyperaldosteronemia with hypokalemia, decreased marrow function with leukopenia, an exocrine pancreatic disease with steatorrhea, or disordered uric acid metabolism.